Coombs positive hemolytic anemia is associated with
1. TTP
2. PAN
3. SLE
4. HUS

Correct answer: 3. SLE

Explanation: Amongst the collagen vascular diseases, SLE is most frequently associated with Coomb's positive hemolytic anemia.
PAN can also cause Coomb's positive hemolytic anemia, but it is very rare.